All of the following are features of Cross-Over studies except -
1. All patients receive the new therapy
2. Not suitable if drug on interest cures the disease
3. Not suitable if drug is effective only during a certain stage of disease
4. Not suitable if disease does not changes radically during the study

Correct answer: 4. Not suitable if disease does not changes radically during the study